In general, the last muscle to be rendered akinetic with a retrobulbar anesthetic block is –
1. Superior rectus
2. Superior oblique
3. Inferior oblique
4. Levator palpebral superioris

Correct answer: 2. Superior oblique

Explanation: A properly placed retrobulbar injection is effective within seconds and blocks all extraocular muscles except the superior oblique muscle, affects the ciliary ganglion and anesthetizes the entire globe.